Dementia of Alzheimer's type is not associated with one of the following :
1. Depressive symptoms
2. Delusions
3. Apraxia and aphasia
4. Cerebral infarcts

Correct answer: 4. Cerebral infarcts

Explanation: D i.e.Cerebral infarcts